Potato tumor is -
1. Rhinosporidiosis
2. Hypertrophied sebaceous gland
3. Nosopharyngeal angiofibroma
4. Tubercular infection

Correct answer: 2. Hypertrophied sebaceous gland

Explanation: Ans. is 'b' i.e., Hypertrophied sebaceous glandRhinophyma (Potato tumor)o Rhinophyma is a benign tumor of tip of nose due to hypertrophy of sebaceous gland.o It is caused by granulomatous infiltration and occurs as a complication of long standing acne rosacea.o Alcoholism is mistakenly attributed as a cause of this disease, but heavy alcohol consumption does aggravate the condition.o The usual presentation is due to cosmetic appearance or obstruction,o Treatment of choice is debulking of tumor by carban dioxide laser.